All are seen in nicotine withdrawal except ?
1. Hyperhydrosis
2. Anxiety
3. Bradycardia
4. Insomnia

Correct answer: 1. Hyperhydrosis

Explanation: Ans. is 'a' i.e., Hyperhydrosis